Hyperpolarization is caused by which ions
1. K+
2. Na+
3. Ca++
4. HCO3

Correct answer: 1. K+

Explanation: Slow return of the K+ channels to the closed state causing hyperpolarization.(Ref Textbook of physiology AK Jain 5th edition page no.36)